The most common cause of morbidity and mortality in patients undergoing major vascular surgery is:
1. Renal complications
2. Thrombo embolic phenomenon
3. Coagulopathies
4. Cardiac complications

Correct answer: 4. Cardiac complications

Explanation: D i.e. Cardiac Complication Myocardial peiformanceQ is the single most important determinant outcome following a major vascular operation. Non fatal and fatal MIsQ are the most important & specific outcomes that determine per operative cardiac morbidity in a patient undergoing vascular surgery. The dominant risk factor for perioperative morbidity & moatity in patients scheduled for abdominal aortic aneurysmectomy is found to be - cardiac (47%) > pulmonary (31%)Q > age older than 85 years (17%) > Renal failure (2%) > Retroperitoneal fibrosis (2%) > Cirhosis with ascites (1%)